Roach clasp arm refers to
1. Retentive terminal of circumferential clasp
2. Reciprocal arm of circumferential clasp
3. Bar type clasp
4. None of the above

Correct answer: 3. Bar type clasp

Explanation: The term 'bar clasp' is generally preferred over the less descriptive term 'Roach clasp arm'. Reduced to its simplest term, the bar clasp arm arises from the denture framework or a metal base and approaches the retentive undercut from a gingival direction.